Which gas is most commonly used with pneumatic retinopexy -
1. SF6
2. C3F8
3. CO2
4. N3

Correct answer: 1. SF6

Explanation: Ans. is 'a' i.c., SF6 o Sulfur hexafluoride gas (SF6) is most commonly used with pneumatic retinopexy.